Components of Human Development Life?
1. Infant Mortality
2. Literacy
3. Life expectancy at age one
4. Life expectancy at birth

Correct answer: 4. Life expectancy at birth

Explanation: Components of HDI:Life expectancy at birthKnowledgeStandard of Living.HDI ranges between 0 to 1.